Which of the following is the chronic complication of malaria?
1. Pneumonia
2. Nephrotic syndrome.
3. Splenomegaly
4. Both 2 and 3

Correct answer: 4. Both 2 and 3

Explanation: Unarousable Coma / cerebral malaria, convulsions
Renal Impairment
Noncardiogenic pulmonary edema
Liver Dysfunction
Hypoglycemia
Metabolic acidosis/acidemia
Hematological abnormality like hemoglobinuria, normocytic anemia, bleeding, DIC
Other complications like jaundice, extreme weakness, hyperparasitemia, impaired consciousness
Hypotension/shock.